Red degeneration in uterine fibroid is most common in-
1. Second trimester
2. Third trimester
3. Puerperium
4. First trimester

Correct answer: 1. Second trimester

Explanation: Ans. is 'a' i.e.. Second trimester